Flask shaped ulcers seen in a dysentry patient is diagnostic of:
1. Shigellosis
2. Amoebiasis
3. Giardiasis
4. Typhoid

Correct answer: 2. Amoebiasis

Explanation: Flask shaped ulcers seen in intestinal Amoebiasis. The most Diagnostic test of amoebiasis is ELISA.